Pterygopalatine ganglion supplies
1. Parotid gland
2. Submandibular gland
3. Lacrimal gland
4. Sublingual

Correct answer: 3. Lacrimal gland

Explanation: Pterygopalatine is the largest parasympathetic peripheral ganglion. It serves as a relay station for secretomotor fibres to the lacrimal gland and to the mucous glands of the nose, the paranasal sinuses, the palate, and pharynx. Topographically, it is related to the maxillary nerve, but functionally it is connected to the facial nerve through its greater petrosal branch. The flattened ganglion lies in the pterygopalatine fossa just below the maxillary nerve, in front of the pterygoid canal and lateral to the Sphenopalatine foramen. Ref: BD Chaurasia's HUMAN ANATOMY, Volume 3, 4th edition.